Specific reason to disallow the sample for culture?
1. Sample brought within 2 hr of collection
2. Sample brought in sterile plastic container
3. Sample brought in formalin
4. Sample obtained after cleaning the collection site

Correct answer: 3. Sample brought in formalin

Explanation: Ans. is 'c' i.e., Sample brought in formalin Guidelines for proper specimen collection Collect specimen before administering antibiotics or antivirals when possible. Collect specimen with as little skin contamination as possible to ensure that the sample collected represents the infected site. Utilize appropriate collection devices. Use sterile equipment and aseptic technique to collect specimens to prevent introduction of microorganisms during invasive procedures. Clearly label the specimen container with patient's name, hospital number or other identifying number (i.e. birth date, requisition number), date and time of collection. Collect an adequate amount of specimen. Inadequate amounts of specimen may yield false-negative results. If a specimen is collected through intact skin, cleanse the skin first. For example, use 70% alcohol followed by iodine solution (1 to 2% tincture of iodine or 10% solution of povidone iodine). Collect fluid specimens in sturdy, sterile, screw cap, leak proof containers with lids that do not create an aerosol when opened. Specimens obtained by a physician using needle aspiration should be transferred to a sterile tube or anaerobic transport vial prior to transport of the specimen to the laboratory. If there is little material in the syringe, the physician should draw a small amount of sterile nonbacteriostatic 0.85% NaC1 through the syringe and then transfer the specimen to a sterile tube. Alternatively, and ONLY if the specimen will be compromised by transferring it from the syringe, a small amount of sterile 0.85% NaC1 may be drawn into the syringe prior to removal of the needle. DO NOT TRANSPORT SYRINGES WITH NEEDLES ATTACHED AND/OR RECAPPED. Attach syringe cap ONLY if necessary. The physician should use a protective device while removing the needle to avoid injury and should cap the syringe with a sterile cap prior to transporting it to the laboratory. Any Micorbiology and Virology specimens collected in formalin are UNACCEPTABLE for culture.